A medical student could not deliver a seminar, fearing seniors. He is aware of the irrationality of his fear. Likely diagnosis is
1. Agoraphobia
2. Social phobia
3. Claustrophobia
4. Specific phobia

Correct answer: 2. Social phobia

Explanation: Social phobia is an example of irrational fear of activities or social interaction, characterised by an irrational fear or social interaction, characterised by an irrational fear of performing activities in the presence of other people or interacting with others. The patient is afraid of his own actions being viewed by others critically, resulting in embarrassment or humiliation. (Ref: a short textbook of psychiatry, Niraj Ahuja,7th edition, pg no 93)